An Rh-negative woman married to a heterozygous Rh-positive man has three children. The probability that all three of their children are Rh-positive is:
1. 1:02
2. 1:04
3. 1:08
4. Zero

Correct answer: 3. 1:08

Explanation: Ans. 1: 8